Multipurpose health worker was proposed under:
1. Srivastava committee
2. Bhore committee
3. Kartar Singh committee
4. None of the above

Correct answer: 3. Kartar Singh committee

Explanation: Kartar Singh committee in 1973 gave the concept of multipurpose health worker. For each subcentre, one male and one female health worker was proposed. Ref: Park 22nd edition pg: 817.